DOC for smoking cessation?
1. Acamprosate
2. Varenicline
3. Thalidomide
4. Tryptophan

Correct answer: 2. Varenicline

Explanation: Ans. B. Varenicline (If Bupropion is not an option)Anti-smoking drugs:Bupropion (along with Varenicline & Nicotine replacement therapy) is a USFDA approved first-line agent for pharmacotherapy in smoking cessation.Varenicline:Effective agent for smoking cessation.Synthetic drug with partial agonist action at a4ss2 nicotinic receptors.Has antagonist properties persisting due to long half-life & high receptor affinity.Hence, prevents stimulant effect of nicotine at presynaptic a4ss2 receptors art results in dopamine release.